Verrucaous carcinoma of penis is causes by
1. HPV11
2. HPV16
3. HPV18
4. HPV32

Correct answer: 1. HPV11

Explanation: Verrucous carcinoma of penis, also called Buschke-Lowenstein tumour, is caused by HPV 6 and 11. It is a curable malignancy but is locally destructive and locally invasive. It neither spreads through lymphatics nor blood. Surgical excision or partial amputation is the treatment of choice.Reference : page 1067 SRB's manual of surgery 5th edition